The triple P procedure for placenta percreta involves all except:
1. Pelvic devascularization
2. Placental localization using USG
3. Peripartum hysterectomy
4. Myometrial excision for placental nonseparation

Correct answer: 3. Peripartum hysterectomy

Explanation: Ans. is c, i.e. Peripartum hysterectomyRef Fernando Arias 4/e, p 396Triple P procedure has been developed for placenta percreta as a conservative surgical alternative to peripartum hysterectomy. It consists of following 3 steps:1. Perioperative placental localization and delivery of fetus via transverse uterine incision above the upper border of placenta.2. Pelvic devascularization3. Placental nonseparation is dealt with myometrial excision and reconstruction of uterine wall.